True regarding clavulanic acid is -
1. Deactivates beta lactamase
2. Decreases renal excretion of amoxycillin
3. Potentiates action of penicillin
4. Decreases the side effects of amoxicillin

Correct answer: 1. Deactivates beta lactamase

Explanation: Ans. is 'a' i.e., Deactivates Beta lactamase Clavulanic acido Clavulanic acid is a beta-lactamase inhibitor. Addition of clavulanic acid re-estabilishes the activity of amoxicillin against b-lactamase producing organisms,o Clavulanic acid has a b-lactam ring but no antibacterial activity of its own.o Clavulanic acid is a suicide inhibitor, it gets inactivated offer binding to the enzyme because of irreversible binding.o Clavulanic acid is a progressive inhibitor, binding is reversible initially, but become irreversible later due to covalent bonding, i.e. inhibition increases with time.Other beta-lactamase inhibitorso Sulbactam is combined with ampicillin.o Tazobactom is combined with piperacillin.